Nerve supply of circumvallate papillae is by-
1. Glossopharyngeal nerve
2. Chorda Tympani
3. Vagus
4. Lingual nerve

Correct answer: 1. Glossopharyngeal nerve

Explanation: Ans. is 'a' i.e., Glossopharyngeal nerve Nerve supply of tonguePart of tongueTaste sensationGeneral (Touch and temperature)Anterior 2/3 (oral part)(except circumvallate papillae)Chorda tympaniLingual branch of mandibular division of trigeminal nervePosterior 1/3 including circumvallate papillaeGlossopharyngealGlossopharyngealPosterior most partInternal laryngeal branch of vagusInternal laryngeal branch of vagus